A 20 year old female was diagnosed with acute myeloid leukaemia & underwent allogenic stem cell transplantation a year ago. In her follow up visit, she has manifestations of chronic graft-versus-host disease but otherwise is doing well & has no evidence of recurrence. Which of the following vaccines should not be administered to this patient at this point of time?
1. Diphtheria-tetanus
2. 23-Valent pneumococcal polysaccharide
3. Measles, mumps, and rubella
4. Poliomyelitis injection

Correct answer: 3. Measles, mumps, and rubella

Explanation: Patients who have undergone allogenic stem cell transplantation remain at risk for infectious complications Graft versus host disease (GVHD) requires immunosuppression that further increases infectious risk. Measles, mumps, and rubella vaccine is a live virus vaccine so avoided in transplantation patients with history of GVHD It can be safely given after 24 months if the patient does not have GVHD Patients should be revaccinated against: After 1 year of allogeneic stem cell transplantation After 2 years of allogeneic stem cell transplantation Diphtheria-tetanus 23-Valent pneumococcal polysaccharide Poliomyelitis injection Haemophilus Measles, mumps, and rubella Varicella-zoster